A bacterium which can sustain >100 degree comes is classified as
1. Thermophilic
2. Mesophilic
3. Cryophilic
4. Halophilic

Correct answer: 1. Thermophilic

Explanation: Based on temperature, classification of bacteria A. Psychrophile - Grow at temperature range of -10deg C to +10 degC B. Mesophile - Grow at temperature range of 20 - 40degC Most of medically important bacteria belongs to this group C. Thermophile - Grow at temperature greater than 45degC D. Halophile - Found only in a salty environment